Death due to suffocation are all, except:
1. Smothering
2. Choking
3. Throttling
4. Gagging

Correct answer: 3. Throttling

Explanation: Ans. Throttling